Which one of the following is an antiapoptotic protein/ gene?
1. BAK
2. BCL-2
3. BAX
4. BIM

Correct answer: 2. BCL-2

Explanation: Ans. (b) BCL-2(Ref Robbins 9th/pg 55; 8th/pg 28)Anti-apoptotic.Pro-apoptoticSensorsBCL2, BCL-XL, and MCL1BAX and BAKBAD, BIM, BID, Puma, and Noxa